Pardoxical aciduria is seen in:
1. Intestinal obstruction
2. Vesico-vaginal fistula
3. Pyloric obstruction
4. Enterocutaneous fistula

Correct answer: 3. Pyloric obstruction

Explanation: Ans. is 'c' i.e., Pyloric obstruction Repetitive vomiting in pyloric obstruction leads to hypochloremic, hypokalemic metabolic alkalosis. The urine is alkaline initially but eventually it becomes acidic (paradoxical aciduria) Cause of paradoxical aciduria Initially the kidney compensate for metabolic alkalosis by reabsorbing hydrogen and chloride ions in exchange for sodium, potassium and bicarbonate. But gradually as the body stores of sodium and especially potassium become depleted, kidney starts retaining these ions in exchange of hydrogen ions. thus the urine becomes acidic and metabolic alkaline state is further aggravated.